Mass prophylaxis not done in
1. Scabies
2. Lymphatic filariasis
3. Vitamin A deficiency
4. Worm infestation

Correct answer: 1. Scabies